Drug X which inhibit the binding of RANKL to its receptor (RANK) in osteoporosis:
1. Teriparatide
2. Alendronate
3. Denosumab
4. Estrogen

Correct answer: 3. Denosumab

Explanation: Ans. C. DenosumabOsteoclasts express RANK receptor which on stimulation causes resorption of bone. Denosumab is monoclonal antibody which inhibit the binding of ligand to the receptor and thus play a role in osteoporosis.